Medial border of Hesselbach's triangle is formed by?
1. Linea alba
2. Linea semilunaris
3. Inferior epigastric artery
4. Conjoint tendon

Correct answer: 2. Linea semilunaris

Explanation: Linea semilunarisREF: Keith L Moore clinical anatomy 4th edition p. 193-4, BDC Vol II P. 208-9Hasselbach's triangleMedial border: Lateral margin the rectus sheath, also called linea semilunarisSuperolateral border: Inferior epigastric vesselsInferior border: Inguinal ligament, sometimes REFerred to as Poupart's ligament